Common neurological manifestations of thyrotoxicosis include all except -
1. Hyper reflexia
2. Muscle wasting
3. Chorea
4. Proximal myopathy without fasciculations

Correct answer: 3. Chorea

Explanation: Answer- C. ChoreaHyperreflexiaMuscle weaknessMuscle wasting proximal myopathy without fasciculationChorea is rare